In the heterosexual transmission (from infective to non in fective partner) of Human Immuno-deficiency Virus infection (HIV)-
1. There is a greater risk of transmission from man to a woman
2. There is greater risk of transmission from woman to man
3. Risk is equal either ways
4. HIV infection is not transmission by heterosexual act

Correct answer: 1. There is a greater risk of transmission from man to a woman

Explanation: A European study of heterosexual couples in suggests that chances of transmission of HIV infection from male to female is twice as likely as from female to male. Reference; Park's Textbook of preventive and social medicine, 24th edition.Pg no. 364